Semen analysis sample of male partner of an infertile couple shows low volume with azoospermia and absent fructose. Serum FSH levels are normal. The most probable diagnosis is ?
1. Prostatic infection
2. Mumps orchitis
3. Block in the efferent duct system
4. Hypothalamic dysfunction

Correct answer: 3. Block in the efferent duct system

Explanation: Condition Semen Analysis Prostatic Infection Sperms will be present. Increased WBC level purulent semen Mumps orchitis Oligo, astheno and teratospermia Hypothalamic dysfunction Low FSH, azoospermia or oligozoospermia Block in efferent ducts will lead to low volume semen, azoospermia on semen analysis and absent frustose. Normal fructose and sperms can be seen on testicular biopsy.